In WHO "Road to Health" chart, upper and lower limit of represents
1. 30 percentile for boys and 3 percentile for girls
2. 50 percentile for boys and 3 percentile for girls
3. 30 percentile for boys and 5 percentile for girls
4. 50 percentile for boys and 5 percentile for girls

Correct answer: 2. 50 percentile for boys and 3 percentile for girls

Explanation: Ans. b. 50 percentile for boys and 3 percentile for girls In WHO "Road to Health" chart, upper limit of represents 50th percentile for boys and lower limit represents 3rd percentile for girls. WHO-Home Based Growth Chart WHO growth chart has 2 reference curvesdeg: Upper Reference Curve (URC): 50th percentile for boysdeg Lower Reference Curve (LRC): 3" percentile for girlsQ Road to Health ween two growth curves (weight channel). It includes zoSpace betne of normality for most populations, i.e. 95% of healthy normal children used as a reference fall in this areaQ WHO reference curves are based onQ: NCHS Standards (National Centre for Health Statistics, USA) The 3" percentile (LRC) corresponds to approximately 2 SD below the median of weight-for-age reference value (LTRC)Q Growth Charts The growth or "road to health" chart (first designed by David Morely and later modified by WHO) is a visible display of the child's physical growth and development. Growth chart is generally plotted between: Weight and Agedeg It is designed primarily for longitudinal follow-up (growth monitoring) of a child, so that changes overtime can be interpreted. The purpose of the chart is early identification of growth failure so that action can be taken to prevent severe malnutrition. Changes in weight are the most sensitive indicators of growth and nutrition status in young children. Growth chart provides information on Identification and registration Immunization procedures Birth date and birth weight Introduction of supplementary foods Chronological age Episodes of sickness Weight-for-age Child spacing (Contraceptive/ familymethods used) Developmental milestones History of sibling health Reasons for special care